Which of the following factor determines the destructive power of bullet after firing?
1. Weight of bullet
2. Shape of bullet
3. Size of bullet
4. Velocity of bullet

Correct answer: 4. Velocity of bullet

Explanation: A bullet's ability to injure is directly related to its kinetic energy at the moment of impact. Kinetic energy i.e. E = mv2 /2 The kinetic energy is directly proportional to weight (mass) of the bullet and the square of its velocity. Thus a bullet traveling at twice the speed of a second bullet of equal weight and similar size and shape, possesses four times much energy and injuring power. Ref: The Essentials of Forensic Medicine and Toxicology by Narayan Reddy, 27th edition, Page 189.